All of the following statements about Trientine are true, EXCEPT:
1. More potent than penicillamine and orally absorbed
2. Alternative to penicilliamine in non tolerant
3. Not given with iron within two hours of ingestion
4. May cause iron deficiency anemia

Correct answer: 1. More potent than penicillamine and orally absorbed

Explanation: Trientine is a copper chelating agent. It is the second line of therapy in the treatment of Wilson's disease. It is less potent than penicillamine. It is used in patients intolerant to penicillamine. it can produce gastric disturbance, iron deficiency anemia due to iron chelation and sideroblastic anemia. Ref: Mitochondrial Function And Dysfunction By Anthony Henry Vernon Schapira, Page 185; Goodman And Gilman's Manual of Pharmacology And Therapeutics, 2007, Page 1130; Sleisenger And Fordtran's Gastraintestinal And Liver Diseases, 8th Edition, Page 1609.